Osmotic fragility is increased in -
1. Sickle cell anaemia
2. Thalassemia
3. Hereditary spherocytosis
4. Chronic lead poisoning

Correct answer: 3. Hereditary spherocytosis

Explanation: Osmotic fragility test is helpful in testing the spheroidal nature of red cells which readily lyse more readily in solutions of low salt concentration that is osmotic fagility is increased in hereditary spherocytosis.

Harsh mohan textbook of pathology 6th edition pg no 315